Botulinum affects all, except:
1. Neuromuscular junction
2. Preganglionic junction
3. Post-ganglionic nerves
4. CNS

Correct answer: 4. CNS

Explanation: Ans. CNS